A patient with clustered white lesions on the buccal mucosa opposite the upper 1st as 2nd molars pathognomonic for measles These are
1. Leukoplaka
2. Koplik spots
3. Kaposi spots
4. none

Correct answer: 2. Koplik spots

Explanation: ref : harrisons 21st ed